Hanau H2 articulator has a intercondylar distance of
1. 90 mm
2. 100 mm
3. 110 mm
4. 120 mm

Correct answer: 3. 110 mm